All are true about Reye's Syndrome Except :
1. Hepatic encephalopathy
2. Seen with ampicillin therapy
3. Fever and rash
4. Viral associated

Correct answer: 2. Seen with ampicillin therapy